Which of the following is not the cause of macrocytic anemia
1. Orotic aciduria
2. Lesch Nyhan syndrome
3. Transcobalamin deficiency
4. Abetalipoproteinemia

Correct answer: 4. Abetalipoproteinemia

Explanation: Abetalipoproteinemia has Acanthocytes (Spur cells).
It is not a cause of macrocytic anemia.